Ovulation occurs:
1. Before LH surge
2. After biphasic rise in body temperature
3. After ripening of follicle by FSH
4. Before estrogen peak

Correct answer: 3. After ripening of follicle by FSH

Explanation: Ans. is c, i.e. After ripening of follicle by FSHThe question is very simple as ovulation occurs after LH surge and estrogen peak and because of ovulation there is biphasic rise in temperature.